Drug not given for Prophylaxis of Malaria is:
1. Chloroquine
2. Progaunil
3. Aeseunate
4. Doxycycline

Correct answer: 3. Aeseunate

Explanation: Aeseunate